WER stands for
1. World epidemiological record
2. Weekly epidemiological record
3. World epidemic record
4. Weekly environmental record

Correct answer: 2. Weekly epidemiological record

Explanation: An important activity of WHO is epidemiological surveillance of communicable disease. WHO collects and disseminates epidemiological information on diseases subject to International health regulations and occasionally other communicable diseases of international importance through an Automatic Telex Reply service (ATRS) and the Weekly epidemiological record (WER)Park 23e pg: 920